A blood stained discharge from the nipple indicates one of the following
1. Breast abscess
2. Fibroadenoma
3. Duct papilloma
4. Fat Necrosis of Breast

Correct answer: 3. Duct papilloma

Explanation: Discharge can occur from one or more lactiferous ducts.Discharge can be: * clear, serous - fibrocystic disease,duct ectasia,carcinoma. * blood stained - carcinoma,duct papilloma,duct ectasia. * black or green -duct ectasia. Blood stained discharge is seen in duct papilloma. Bailey and Love'sSho practice of surgery.Edition 23.Pg no:753